"Central clearing" is seen with
1. Leishmaniasis
2. Lupus vulgaris
3. Tinea
4. Histoplasmosis

Correct answer: 3. Tinea

Explanation: Central clearing: Tinea
Central Crusting: Leishmaniasis
Central Scarring: Lupus vulgaris.